The neurovascular plane in the anterior abdominal wall is-
1. Between external oblique and internal oblique
2. Between internal oblique and transversus abdominis
3. Below transversus abdominis
4. Above external oblique

Correct answer: 2. Between internal oblique and transversus abdominis

Explanation: The muscles of the anterior abdominal wall from outside to inside are
-        External oblique
-        Internal oblique
-        Transversus abdominis
Blood vessels and nerves lie between internal oblique and transversus abdominis.